Equilibrium potential for an ion is calculated by:
1. Gibbs Donnan Equilibrium
2. Nernst Equation
3. Goldman Equation
4. None of the above

Correct answer: 2. Nernst Equation

Explanation: Gibbs Donna Equilibrium explains unequal distribution of ions in ICF and ECF due to non- diffusible anions (proteins) present intracellularly Nernst Equation: Nernst equilibrium potential (at which there is no net transport of the molecule across the membrane) Where, R = the gas constant T = temperature in degrees Kelvin ln = natural logarithm i = the concentration of X inside the cell o = the concentration of X outside the cell zx = the valence of charged molecules F = the Faraday constant Vm = the membrane potential The Nernst equation, at 37degC, can be written for univalent ion as follows: If movement of ion is producing negativity inside the cell membrane, Nernst potential will be with negative sign and vice-versa Goldman-Hodgkin-Katz (GHK) equation state that when a membrane is permeable to several different ions, the diffusion potential that develops depends on three factors: polarity of the electrical charge of each ion permeability of the membrane (P) to each ion concentrations (C) of the respective ions on the inside (i) and outside (o) of the membrane